A male child with gall bladder stone has Hb-6 gm%, serum bilirubin 2.5 mg % and high urobilinogen in urine. The diagnosis is -
1. Haemolytic jaundice
2. Obstructive jaundice
3. Secondary biliary cirrhosis
4. Hepato cellular jaundice

Correct answer: 1. Haemolytic jaundice